All of the folloiwng are the features of Horner's syndrome except:
1. Ptosis and Miosis in ipsilateral eye
2. Anhidrosis of ipsilateral face
3. Hetrochromia irides
4. Apparent exophthalmos

Correct answer: 4. Apparent exophthalmos

Explanation: Apparent exophthalmos